Nipple confusion means?
1. Baby fed with a bottle finding it difficult and confusing to suckle at breast
2. Baby not able to suckle with bottle
3. Baby not able to feed with spoon
4. Baby not able to feed with paladin

Correct answer: 1. Baby fed with a bottle finding it difficult and confusing to suckle at breast

Explanation: Ans. (a) Baby fed with a bottle finding it difficult and confusing to suckle at breastRef: OP Ghai 8th ed./153* A problem that may beset a bottlefed baby in which it forgets how to nurse on mother' nipple* Breastfeeding requires far more vigorous mouth and tongue motions and greater muscle coordination than bottlefeeding.* On bottle nipples or even pacifiers, a newborn can forget how to nurse properly.* This confusion can lead to diminished or discontinued nursing. Nipple confusion is usually not a concern after the early weeks, once the baby is nursing well.